Most common nerve involvement in fracture surgical neck humerus:
1. Axillary nerve
2. Radial nerve
3. Ulnar nerve
4. Median nerve

Correct answer: 1. Axillary nerve

Explanation: A i.e. Axillary nerve Injury Common Nerve Involvement Anterior shoulder dislocation Fracture surgical neck humerus Axillary (circumflex humeral) nerveQ Axillary nerveQ Fracture shaft humerus Fracture supracondylar humerus Medial condyle humerus Radial nerveQ Radial or median nerve Ulnar nerve Monteggia fracture dislocation Posterior interosseous nerve Vockman's ischemic contracture Lunate dislocation Median nerve Median nerveQ Hip dislocation Sciatic nerve Knee dislocation Peroneal nerve